Posterior urethral valve - true A/E -
1. Palpable bladder
2. Hydronephrosis
3. Painful stress incontinence
4. Recurrent UTI

Correct answer: 3. Painful stress incontinence

Explanation: Ans. is 'c' i.e.. Painful stress incontinence Posterior urethral valveo Most common cause of severe obstructive uropathy in children,o 30% of children experienced end stage renal disease/CRFo Dilated prostatic urethra,o Hypertrophy of bladder muscleo Vesicouretic reflux seen in 50% of cases,o Back pressure change:HydronephrosisDistended bladderThin urinary streamRecurent UTI because of urinary stasis